Which of the following is false regarding dimorphic fungi
1. Occurs in two growth forms
2. Can cause systemic infection
3. Cryptococcus is an example
4. Coccidioides is an example

Correct answer: 3. Cryptococcus is an example

Explanation: Cryptococcus is a yeast. Reference: Textbook of Microbiology; Baveja; 4th edition